Which of the following is used to classify Pulmonary adenocarcinoma?
1. Parkland classification
2. Waterston's classification
3. Chicago classification
4. Noguchi's classification

Correct answer: 4. Noguchi's classification